Long term effect of for CNS tumor in children are all except
1. Reduced IQ and learning
2. Endocrine dysfunction
3. Musculoskeletal problems
4. Neuropsychological effects are independent of radiation dose

Correct answer: 4. Neuropsychological effects are independent of radiation dose

Explanation: D i.e. Neuropsychological effects are independent of radiation dose